Vagabond's disease is also known as
1. Pediculosis pubis
2. Peduculosis capitis
3. Peduculosis corporis
4. Tinea capitis

Correct answer: 3. Peduculosis corporis

Explanation: Pediculosis corporis is a cutaneous condition caused by body lice (specifically Pediculus corporis) that lay their eggs in the seams of clothing. Body louse infestation is also known as vagabond disease, and individuals who have an infestation for many years can develop a condition termed vagabond skin. It is also important to examine for systemic illness that may be related to one of the vector-borne diseases associated with P corporis (see Complications). Ref Harrison20th edition pg 1221